Feature of diabetes mellitus in pregnancy
1. Postdatism
2. Hydramnios
3. Neonatal hyperglycemia
4. All

Correct answer: 2. Hydramnios

Explanation: Ans. is b i.e. Hydramnios As explained in the previous question maternal hyperglycaemia leads to fetal hyperglycaemia, which in turn causes polyuria and thus causes polyhydramnios. - Polyhydramnios leads to preterm delivery and not post datism. - Excessive uterine enlargement because of polyhydramnios and macrosomia causes increased incidence of atonic PPH. Diabetes leads to increased incidence of congenital defects in fetus. Maternal hyperglycemia to fetal hyperglycemia hyperinsulinemia -/ to neonatal hypoglycemia at birth.